All of the following are predisposing factors for breast carcinoma except:
1. Family history of breast carcinoma
2. First child at a younger age
3. Early menarche and late menopause
4. Nulliparous women

Correct answer: 2. First child at a younger age

Explanation: Ans. (b) First child at a younger age(Ref. Sabiston Page 831/ 20th edition)# Late child birth is a risk factor for cancer breast.Risk factors associated with Reproduction:* Early menarche* Later menopause* Nulliparous women* Late child birth.* Absent Breast feeding